All are true regarding dystocia except:
1. Dystocia is difficult labor
2. It is the M/C indication for primary cesarean delivery
3. ACOG recommends the cervix should be atleast 2 cms dilated for diagnosis of dystocia
4. Dystocia can be due to abnormality in power, passage and passenger

Correct answer: 3. ACOG recommends the cervix should be atleast 2 cms dilated for diagnosis of dystocia

Explanation: Dystocia literally means difficult labor and is characterized by abnormally slow labor progress.
It arises from four distinct abnormalities that may exist singly or in combination:

– Abnormalities of the expulsive forces. Uterine contractions maybe insufficiently strong or inappropriately coordinated to efface and dilate the cervix–uterine dysfunction. Also, there may be inadequate voluntary maternal muscle effort during second-stage labor.
– Abnormalities of presentation, position, or development of the fetus.
– Abnormalities of the maternal bony pelvis–that is, pelvic contraction.
– Abnormalities of soft tissues of the reproductive tract that form an obstacle to fetal descent.
Common clinical findings in women with ineffective labor
Inadequate cervical dilation or fetal descent:

Protracted labor–slow progress
Arrested labor–no progress
Inadequate expulsive effort–ineffective pushing.
Fetopelvic disproportion:
Excessive fetal size
Inadequate pelvic capacity

Malpresentation or position of the fetus

Ruptured membranes without labor.
Dystocia is the most common current indication for primary cesarean delivery.
American College of Obstetricians and Gynaecology recommend (1995a) that the cervix be dilated to 4 cm or more before dystocia is diagnosed, thus, the diagnosis often is made before active labor, and therefore before an adequate trial of labor which leads to unnecessary cesarean section.